Ammonia is detoxified in brain by:
1. Creatinine
2. Uric acid
3. Glutamine
4. Urea

Correct answer: 3. Glutamine

Explanation: The transport form of Ammonia in blood and from Brain is Glutamine The answer is not glutamate because free ammonia is trapped by glutamine. Glutamate is formed transamination of amino acids, not from free ammonia.